Which of the following is not hereditary:
1. Amelogenesis imperfecta
2. Cleidocranial dysostosis
3. Regional odontodysplasia
4. Dentinogenesis imperfecta

Correct answer: 3. Regional odontodysplasia

Explanation: The etiology of odontodysplasia may be due to latent virus residing in odontogenic eipthelium or due to local vascular defect. Recently it has been suggested that odontodysplasia may represent in somatic mutation